Not a feature of Minimal change disease:
1. Good response to steroids
2. Effacement of podocytes on electron microscope, normal on light microscope
3. Nil deposit disease
4. NSAIDS is the primary cause

Correct answer: 4. NSAIDS is the primary cause

Explanation: Minimal Change Disease M/c cause of development of nephrotic syndrome in child (2-6 yrs) Primary cause (idiopathic, most common) Secondary cause (NSAIDS/Hodgkin's lymphoma/ atopy) Selective proteinuria C/F Excessive frothiness of urine Facial edema No role of immune complexes Good response to steroids